In exposure and response prevention therapy which one of the following is a poor prognostic factor in OCD?
1. Magical thinking
2. Di contamination
3. Pathological doubt
4. Hoarding

Correct answer: 4. Hoarding

Explanation: Ans:D. Hoarding.